Upper 1st molar is supplied hy:
1. Superior alveolar nerve
2. Inferior alveolar nerve
3. Mental nerve
4. Lingual nerve

Correct answer: 1. Superior alveolar nerve

Explanation: Ans: A (Superior alveolar nerve)Ref: Gray's Anatomy, 40th edition, pg.500Explanation:Branches of Maxillary Nerve In the CraniumMiddle meningeal nerve in the meninges.From the Pterygopalatine FossaInfraorbital nerve through infraorbital canal.Zygomatic nerve (zygomaticotemporal nerve, zygomaticofacial nerve) through inferior orbital fissureNasal branches (nasopalatine) through sphenopalatine foramenSuperior alveolar nerves (Posterior superior alveolar nerve. Middle superior alveolar nerve, Anterior superior alveolar nerve)Palatine nerves (Greater palatine nerve. Lesser palatine nerve), including the Nasopalatine nervePharyngeal nerveIn the Infraorbital CanalAnterior superior alveolar nerveInfraorbital nerveOn the FaceInferior palpebral nerveSuperior labial nerveSuperior Alveolar NervesAnterior superior alveolar nerve innervatesAll anterior teethPremolarsMesiobuccal root of the first maxillary molar Posterior superior alveolar nerve innervatesSecond and third maxillary molarsTwo of the three roots of the maxillary first molar (all but the mesiobuccal root)Middle superior alveolar premolarsMesiobuccal root of the first maxillary molar* It is not always present in majority of cases. In such eases, posterior superior alveolar nerve innervates the premolars and molars.Posterior cord of brachial plexus nerve innervatesSinus mucosaRoots of the maxillary